Jacobson's nerve is a branch of:
1. Vagus nerve
2. Hypoglossal nerve
3. Glossopharyngeal nerve
4. Trigeminal nerve

Correct answer: 3. Glossopharyngeal nerve

Explanation: Ans. (c) Glossopharyngeal nerveRef: Dhingra's ENT 6th ed./4* Jacobsons nerve is a branch of glossopharyngeal nerve (CN- IX) in middle ear.* It supplies medial aspect of tympanic membrane.